Positive nitrogen balance is seen in ?
1. Trauma
2. Burns
3. Pregnancy
4. Stress

Correct answer: 3. Pregnancy

Explanation: Ans. is 'c' i.e., Pregnancy The normal healthy adult is in "nitrogen balance or equilibrium". That is the amount of nitrogen ingested in the diet over a given period of time is equals that excreted in the urine and feces as excretory products.Positive nitrogen balance means amount of nitrogen taken in and retained exceeds that excreted. Positive nitrogen balance is seen in ?PregnancyRecovery phase of trama/surgeryInfancy and childhoodNegative nitrogen balance is seen in :StarvationInfectionBurnsAcute stressImmediately after trauma/surgery Hormones causing positive nitrogen balance - GH, insulin, testosteroneHormone causing negative nitrogen balance - Glucocorticoids